The typical appearance of 'Granulation tissue' is due to
1. Thrombosed capillaries
2. Budding ends of capillaries
3. Densely packed collagen
4. Chronic inflammatory cells

Correct answer: 2. Budding ends of capillaries

Explanation: The term granulation tissue derives from its pink, so, granular appearance on the surface of wounds, and the characteristic histological features include the formation of the new vessels (angiogenesis) with budding ends of capillaries and proliferation of fibroblast.